The risk factors for placental abruption include the following except -
1. History of placental abruption in previous pregnancy
2. Hypertension
3. Diabetes mellitus
4. Preterm rupture of membranes

Correct answer: 3. Diabetes mellitus